In Refeeding syndrome, all the given lab valves are monitored except
1. Calcium
2. Phosphate
3. Ammonia
4. Magnesium

Correct answer: 3. Ammonia

Explanation: In Refeeding syndrome, hypocalemia, hypophosphatemia, hypomagnesemia occurs. Hence, they are monitored. Ammonia levels are not altered.